Cell-matrix adhesions are mediated by?
1. Cadherins
2. Integrins
3. Selectins
4. Calmodulin

Correct answer: 2. Integrins

Explanation: The cell adhesion molecules (CAMs) are classified into four main families:- * Immunoglobulin family CAMs *Cadherins * Integrins: bind to extracellular matrix (ECM) proteins such as fibronectin, laminin, and osteopontin providing a connection between cells and extracellular matrix (ECM) * Selectins